The best irrigating fluid during ECCE is –
1. Ringer lactate
2. Normal saline
3. Balanced salt solution
4. Balanced salt solution + glutathione

Correct answer: 4. Balanced salt solution + glutathione

Explanation: Balanced salt solution plus glutathione or BSS Plus is the best irrigating fluid for ECCE as it is protective to the corneal endothelium.
Unlike BSS, BSS plus is physiologically similar to human aqueous and vitreous and maintain endothelial cell function.